ADH is released from:
1. Anterior pituitary
2. Posterior pituitary
3. Hypothalamus
4. Intermediate pituitary

Correct answer: 2. Posterior pituitary

Explanation: Ans. B i.e. Posterior pituitaryArginine vasopressin (AVP)/Vasopressin/Argipressin/Antidiuretic hormone (ADH)It is a neurohypophysial hormone.It is derived from a preprohormone precursor that is synthesized in the hypothalamus and stored in vesicles at theposterior pituitary.Its two primary functions are to retain water in the body and to constrict blood vessels.Vasopressin regulates the body's retention of water by acting to increase water absorption in the collecting ducts of the kidney nephron